Plasma cells are derived from ?
1. B lymphocytes
2. T lymphocytes
3. NK cells
4. Monocytes

Correct answer: 1. B lymphocytes

Explanation: Ans. is 'a' i.e., B lymphocytes B-cells are able to make a specific antibody against a specific antigen. It is due to present of specific receptor on B-cells - B-cell receptor (BCR), that is usually an immunoglobulin Ig M or Ig D. An antigen interacts with B-cell that shows best fit by virtue of its BCR. The antigen binds to this receptor, and the B-cell is stimulated to divide and form a clone (clonal selection). This clone of cells will become plasma cells that will secretes antibody of a particular specificity and same class.